The most common presentation of a child with Wilms' tumor is ?
1. As asymptomatic abdominal mass
2. Haematuria
3. Hypertension
4. Hemoptysis due to pulmonary secondary

Correct answer: 1. As asymptomatic abdominal mass

Explanation: Ans. is 'a' i.e., As asymptomatic abdominal mass Presentation of Wilm's tumor : o Asymptomatic abdominal mass (most common) o Heamaturia (10-25%) o Abdominal pain (30%) o Fever (20%) o Hypertension (25%) o Anorexia and vomiting